Pituitary gland enlargement causes
1. Bitemporal hemianopia
2. Binasal hemianopia
3. Homonymous hemianopia
4. All the above

Correct answer: 1. Bitemporal hemianopia

Explanation: Pituitary gland enlargement affects optic chiasma leading to Bitemporal hemianopia.